Most common cause of death in Acute pancreatitis within 2 weeks of hospitalization?
1. Sepsis
2. Shock
3. Multiorgan dysfunction syndrome
4. Massive bleeding

Correct answer: 3. Multiorgan dysfunction syndrome

Explanation: M/C/C of Death in A. Pancreatitis Within 2 weeks of Hospitalization - MODS (Multi Organ Dysfunction Syndrome) After 2 weeks of Hospitalization - Sepsis